Which of these is the most important cause of cholestatic jaundice in a newborn?
1. Hypoplasia of the biliary tract
2. Choledochal cyst
3. Neonatal hepatitis
4. Physiological jaundice

Correct answer: 3. Neonatal hepatitis

Explanation: Ans. C. Neonatal hepatitisCholestatic jaundice is characterized predominantly by rise in the levels of conjugated bilirubin. It is due to obstruction to the bile flow, either occurring inside the live (intrahepatic cholestasis) or outside the liver (extrahepatic cholestasis). Overall, the most common cause of cholestasis is neonatal hepatitis. The most common extrahepatic cause is biliary atresia.